Mainly included in child survival index -
1. MMR
2. IMR
3. Mortality between 1 to 4 yr age
4. Under 5 mortality

Correct answer: 4. Under 5 mortality

Explanation: Park's textbook of preventive and social medicine 23rd edition. * The basic measure of infant and child survival is the under 5 mortality.